During the delivery, it is necessary to do an episiotomy. The tear extends through sphincter of the rectum, but the rectal mucosa is intact. How would you classify this type of perineal tear?
1. Ist Degree
2. 2nd degree
3. 3rd degree
4. 4th degree

Correct answer: 3. 3rd degree

Explanation: A first degree tear involves the vaginal mucosa or perineal skin, but not the underlying tissue. In a second degree episiotomy, the underlying subcutaneous tissue is also involved, but not the rectal sphincter or rectal mucosa. In a third degree tear, the rectal sphincter is affected. A fourth-degree episiotomy involves a tear that extends into the rectal mucosa.